The energy requirement of an infant, for planning artificial feeding is:
1. 50 kcal per kg body weight, per day
2. 70 kcal per kg body weight, per day
3. 100 kcal per kg body weight, per day
4. 120 kcal per kg body weight, per day

Correct answer: 3. 100 kcal per kg body weight, per day

Explanation: Artificial Feeding - Principles 1. Energy requirement - 100 kcal per kg body weight, per day. 2. Protein requirement of: Age 0-6 months 2 g per kg body weight per day 6-12 months 1.5 g per kg body weight per day 3. Carbohydrate requirement of 10 g per kg body weight per day. 4. Undiluted boiled and cooled milk to be given after 4 months of age. 5. Feeding frequency of 6-8 times a day in infants, and 5 times a day in older children. 6. Increased calorie demand during illnesses (e.g. fever) should be considered.